A 27-year-old woman comes to psychiatrist complaining of sleep difficulty since her breakup a month ago. On exploring further she reports difficulty in work, decision making, socializing without his help. Since early age she has struggled with low self-confidence and fears of rejection and abandonment. She appears anxious and sad but brightens easily. Which of the following is the most likely diagnosis in this patient?
1. Acute stress disorder
2. Major depressive disorder
3. Borderline personality disorder
4. Dependent personality disorder

Correct answer: 4. Dependent personality disorder

Explanation: Patient's excessive dependency on her boyfriend,indecisiveness, and fear of being alone are suggestive of dependent personality disorder. It is a cluster C PD .Additionally in this patient is uncomfortable when alone.